Cranial nerve not carrying parasympathetic fibres
1. Fourth
2. Seventh
3. Third
4. Ninth

Correct answer: 1. Fourth